If alternate of medicine were accepted as a modality of therapy, then 'Yoga' would be best described as a form of-
1. Physiotherapy
2. Preventive Medicine
3. Emergency Medicine
4. Caloric usurper

Correct answer: 2. Preventive Medicine

Explanation: Ans. is 'b' i.e., Preventive Medicine 'Yoga' is a practice that involves training of the mind, body and breathing to deliver various health benefits. Regular practice of Yoga can be best defined as a form of 'Preventive Medicine' that has shown beneficial effect on several aliments including Backache, Anxiety, Headache, Hypertension etc.